In hypokalaemia all are seen except:
1. Increased peristalsis
2. Abdominal distension
3. Effortless vomiting
4. Muscular weakness

Correct answer: 1. Increased peristalsis